ED50 is used for determining:
1. Potency
2. Efficacy
3. Safety
4. Toxicity

Correct answer: 1. Potency